What is the investigation of choice for the diagnosis of colon cancer?
1. Barium enema
2. Colonoscopy + biopsy
3. USG
4. CT scan

Correct answer: 2. Colonoscopy + biopsy

Explanation: IOC for diagnosis of colon cancer- Colonoscopy + biopsy IOC for staging of colon cancer- CECT Most important prognostic factor- stage (TNM) Single independent most important prognostic factor- LN status